Which of the following structures does the ureter cross on an abdominal radiograph?
1. The bodies of the lumbar vertebrae.
2. Ischial tuberosity.
3. Sacroiliac joint.
4. Pubic tubercle.

Correct answer: 3. Sacroiliac joint.

Explanation: The ureter crosses the pelvic brim over the sacroiliac joint. The ureter lies over the transverse processes of the lumbar vertebrae on an abdominal film. The ureter turns medially to enter the bladder over the ischial spine, not the ischial tuberosity. The ureter passes into the bladder along the line between the ischial spine and the pubic tubercle, but stops short of overlying it